The chemotherapeutic agent of choice for concurrent chemoradiation in carcinoma cervix is :
1. Paclitaxel
2. Hydroxyurea
3. 5 FU (fluorouracil)
4. Cisplatin

Correct answer: 4. Cisplatin